A 50-year-old man presents because of a pruritic rash of several years' duration. The rash is characterized by erythematous, eczematoid patches, and raised plaques and is distributed asymmetrically over the chest and abdomen. Biopsy of the plaques reveals atypical CD41 T cells with cerebriform nuclei. Further marker studies lead to a diagnosis of mycosis fungoides. Which of the following is true of this disease?
1. The disease eventually disseminates to lymph nodes and internal organs.
2. The neoplastic cells most commonly display cell markers of CD19 and CD20.
3. The skin rash most commonly disappears over time.
4. This disease is caused by a chronic fungal infection in the skin.

Correct answer: 1. The disease eventually disseminates to lymph nodes and internal organs.

Explanation: Mycosis fungoides is a T-cell lymphoma characterized by a rash that may be sited at any cutaneous location. Atypical CD4+ T cells with cerebriform nuclei are found on biopsy. EPIDERMOTROPISM : Pautrier'smicroabscess is a collection of malignant lymphocytes in the epidermis occurring as solid intraepidermal nodules